Which of the following is a precancerous condition of cancer stomach?
1. Peptic ulcer
2. Chronic gastric atrophy
3. Achalasia cardia
4. Curling's Ulcer

Correct answer: 2. Chronic gastric atrophy

Explanation: Premalignant Conditions of gastric carcinoma Atrophic gastritis: Both type A (autoimmune pernicious anemia) and type B (associated with H. Pylori) atrophic gastritis are associated with increase risk for gastric cancer. Gastric Polyp: Gastric polyp are of 5 type - inflammatory, hamartomatous, heterotopic, hyperplastic and adenomatous. Of these two namely hyperplastic and adenomatous are associated with increased risk for gastric carcinoma. Adenomatous polyp is having a risk of approximately 38% of malignant transformation and hyperplastic polyp have only Intestinal metaplasia and dysplasia: Both are precursor lesion of gastric cancer. Familial adenomatous polyposis coli: patients with familial adenomatous polyposis have a high prevalence of gastric adenomatous polyp (50%) and 10 times more likely to develop adenocarcinoma stomach. Ref: Schwartz 9/e, Page 927; Maingot's 10/e, Page 1006.